Which of the following should be used to clean the operating site before giving composite restorations?
1. Pumice slurry
2. Prophy paste containing glycerine
3. prophy paste containing fluoride
4. all of the above

Correct answer: 1. Pumice slurry